True about Stein-Leventhal syndrome is/are:a) Oligomenorrhea & amenorrheab) Seen in post - menopausal womenc) Innumerate cysts in ovary d) BRCA -1 is associatede) Theca cell hypertrophy
1. acd
2. ace
3. cde
4. ade

Correct answer: 2. ace

Explanation: • There is no doubt that PCOD causes oligomenorrhea/amenorrhea, i.e. option ‘a’ is correct.
• PCOS is seen in young females. Most common age affected is 15–25 years. and not postmenopausal, so option ‘b’ is incorrect.
• Pathologically – Ovaries are enlarged (2–5 times the normal size). Tunical albuginea is thickened. There is Theca cell hypertrophy (stromal hyperthecosis) and multiple follicular cysts are localized along the surface of ovary (i.e. options ‘c’ and ‘e’ are correct).
• BRCA - 1 is not associated with PCOD.Q (i.e. options ‘d’ is incorrect)
• BRCA - 1 gene has been located at the chromosomal locus 17q21; women who inherit a mutated allele of this gene from either parent have an approx. 60-80% lifetime chance of developing Breast Ca and about 33% chance of developing Ovarian Ca.
• Men who carry a mutant allele of the gene of BRCA-1 have an increased incidence of Prostate Ca, but not usually of Breast Ca.
• BRCA - 2 gene which has been located to chromosome 11, is associated with an increased incidence of Breast Ca in both men and women.